Pseudo-P-Pulmonale is typically seen in?
1. Hypokalemia
2. Hyponatremia
3. Hypocalcemia
4. Hypercalcemia

Correct answer: 1. Hypokalemia

Explanation: Pseudo-P-Pulmonale may be seen in Hypokalemia. Pseudo P-Pulmonale refers to the presence of 'Tall Peaked P-Waves' in absence of right atrial hypertrophy. This "Pseudo-P-Pulmonale" pattern (with P wave peaking) may be seen in hypokalemia. Typical P-wave Morphology Patterns: P-Mitrale P-Pulmonale Pseudo P-Pulmonale Notched (or bifid) p-wave indicative of left atrial hypertrophy which may be caused by mitral stenosis Tall peaked p-waves indicative of right atrial hypertrophy often secondary to tricuspid stenosis or pulmonary hypertension Tall peaked p-waves seen in hypokalemia in absence of right atrial hypertrophy Ref: Harrison's 19th edition